True about nervi erigentes are all except ?
1. An autonomic nerve
2. Parasympathetic outflow
3. Arise from ventral rami of S2S3S4
4. Joins superior hypogastric plexus

Correct answer: 4. Joins superior hypogastric plexus

Explanation: Pelvic splanchnic nerves (nervi erigentes)The nervi erigentes represent the sacral outflow of parasympathetic system and arise from ventral rami of S2 S3 S4.They join the right and left hypogastric nerves to form the inferior hypogastric plexus and are distributed to pelvic organs.Thus distribution of pelvic splanchnic nerve is same as of inferior hypogastric plexus.